Branchial arches give rise to various structures in the head and neck region. From which arch does maxillary artery develops from?
1. 1st arch
2. 3rd arch
3. 4th arch
4. 5th arch

Correct answer: 1. 1st arch

Explanation: Key derivatives of branchial arches: Branchial archMusclesCranial nerve (CN)ArterySkeletal elements1Muscles of mastication, mylohyoid, anterior belly of digastric, tensor tympani, tensor veli palatiniTrigeminalMaxillaryMeckel's cartilage (around which mandible will form): upper portions of malleus and incus, sphenomandibular ligament2Muscles of facial expression, posterior belly of digastric, stylohyoid, stapediusFacialStapedial (not present postnatally)Reichert's cartilage: stapes (except footplate), styloid process, stylohyoid ligament, lesser horns and upper body of hyoid3StylopharyngeusGlossopharyngealCommon carotid, root of internal carotidGreater horns and lower body of hyoid4Cricothyroid, palato faucial, and rostral pharyngealVagusAortic arch, right subclavian, brachiocephalicLaryngeal cartilages5,6Intrinsic muscles of larynx (except cricothyroid), caudal pharyngealCranial root of spinal accessoryDuctus arteriosus, roots of pulmonary arteriesLaryngeal cartilages Ref: Otolaryngology: Basic Science and Clinical Review By Thomas R. Van De Water, Hinrich Staecker, 2006, Page 499.